Collagen affected in Osteogenesis imperfecta -
1. Type I
2. Type II
3. Type III
4. Type IV

Correct answer: 1. Type I

Explanation: Answer- A. Type IOsteogenesis imperfecta also known as brittle bone disease, or 'Lobstein syndrome" is a congenital bone disorder.People with OI are born with defective connective tissue, or without the ability to make it, usually because of a deficiency of Type-I collagen.